The difference between contamination and infection is that in infection
1. Infectious agent is on body surface or on non-human objects
2. Infectious agent is in the body of human
3. Arthropods on the body surface
4. Infectious agents on clothes

Correct answer: 2. Infectious agent is in the body of human

Explanation: INFECTION The entry and development or multiplication of an infectious agent in the body of man / animals An infection doesn't always cause infection Levels of infection:- 1. Colonization- Staphylococcus aureus in skin and nasopharynx 2. Subclinical/inapparent infection- Polio 3. Latent infection- HSV 4. Manifest/clinical infection CONTAMINATION:- The presence of an infectious agent on a body surface, also on/in clothes, bed,toys, instruments or other inanimate substances including water, milk and food Reference: Park's textbook of Preventive and Social medicine; 23rd edition;, Page no. 92